Battle's sign is:
1. Sub-conjunctival ecchymosis
2. Sub-lingual ecchymosis.
3. Palatal ecchymosis
4. Ecchymosis in the mastoid region

Correct answer: 4. Ecchymosis in the mastoid region